Corpora amylacea is seen in-
1. Prostate
2. Seminal vesicle
3. Thymus
4. Testis

Correct answer: 1. Prostate